Positive forced duction test is seen in-
1. Extraocular muscle palsy
2. Mechanical restriction of ocular movement
3. Concomitant squit
4. None

Correct answer: 2. Mechanical restriction of ocular movement

Explanation: Forced Duction Test is performed to differentiate between the incomitant squint due to paralysis of extraocular muscle and that due to mechanical restriction of ocular movements. Positive Forced Duction Test (i.e., a restriction is encountered on passive rotation) is seen in cases of mechanical restriction of ocular movements. FDT is negative in cases of extraocular muscle palsy. Ref; A.K.Khurana ; 6th Edition ; Page no : 356